Which of the following acquired conditions is low risk for thrombosis?
1. Heparin induced thrombocytopenia
2. Oral contraceptive use
3. Antiphospholipid antibody syndrome
4. Myocardial infarction

Correct answer: 2. Oral contraceptive use

Explanation: Ans. is 'b' i.e., Oral contraceptive use Hypercoagulable statesPrimary (Genetic)CommonFactor V mutation (Arg to Glu substitution in amino acid residue 506 leading to resistance to activatedprotein C; factor V leiden)Prothrombin mutation (G2021QA noncording sequence variant leading to increased prothrombin leveis)Increased levels of factors VIII, IX, XI or fibrinogen (genetics unknown)RareAntithrombin III deficiencyProtein C deficiencyProtein S deficiencyVary RareFibrinolysis defectsHomozygus homocystinuria (deficiency of cystathione b-synthetase)Secondary (Acquired)High risk for thrombosisProlonged bed rest or immobilizationMyocardial infarctionAtrial fibrilationTissue injury (surgery, fracture, bum)CancerProsthetic cardiac valvesDisseminated intravascular coagulationHeparin-induced thrombocytopeniaAntiphospholipid antibody syndromeLower risk for thrombosisCardiomyopathyNephrotic syndromeHyperstrogenic states (pregnancy and postpartum)Oral contraceptive useSickle cell anemiaSmoking